Conversion of stearic acid to oleic acid is catalysed by:
1. D3desaturase
2. D6desaturase
3. D9desaturase
4. D12desaturase

Correct answer: 3. D9desaturase

Explanation: Desaturase enzymes can't introduce double bonds beyond the D9 position. This is why certain fatty acids are essential and must be taken in diet.